Ovulation can be evaluated by changes in which of the following?
1. Cervical mucous
2. Cervical colour
3. Cervical dilation
4. Cervical effacement

Correct answer: 1. Cervical mucous

Explanation: Within 48 hours of ovulation, the cervical mucus changes under the influence of progesterone to become thicker, tacky, and cellular, with loss of crystalline fern pattern on drying. Other methods to test the ovulation are, Basal body temperature monitoring to assess the rise in temperature Endometrial biopsy to look for secretory changes Ultrasonic visualization of the collapse of mature follicle with free fluid in pouch of Douglas Ultrasonic assessment of the endometrial thickness, pattern, volume and blood flow Serum progesterone on day 21 of period LH surge detection in serum or urine Ref: Textbook of Gynecology By Sudha Salhan, 2012, Page 132 ; Shaw, 13th ed, Page 213 ; A Comprehensive Textbook of Obstetrics and Gynecology By Sadhana Gupta, 2011, Page 227